A 5-year-old boy has a history of recurrent urinary tract infections. Urine cultures have grown Escherichia coli, Proteus mirabilis, and Enterococcus. Physical examination now shows an abnormal constricted opening of the urethra on the ventral aspect of the penis, 1.5 cm from the tip of the glans penis. There also is a cryptorchid testis on the right and an inguinal hernia on the left. What term best describes the child's penile abnormality?
1. Balanitis
2. Bowen disease
3. Epispadias
4. Hypospadias

Correct answer: 4. Hypospadias

Explanation: Hypospadias is a congenital condition seen in about 1 in 300 male infants. The inguinal hernia and the cryptorchidism are abnormalities that may accompany this condition. Epispadias is a congenital condition in which the urethra opens abnormally on the dorsal aspect of the penis. Bowen disease, which is squamous cell carcinoma in situ of the penis, occurs in adults. Phimosis is a constriction preventing retraction of the prepuce. It can be congenital, but more likely is the result of inflammation of the foreskin of the penis (e.g., balanitis, a form of local inflammation of the glans penis).